All are false about tigecycline, except:-
1. Dose reduction is require in renal failure
2. 90% pseudomonas strains are sensitive
3. It is bactericidal drug
4. It is a broad spectrum antimicrobial

Correct answer: 4. It is a broad spectrum antimicrobial

Explanation: Tigecycline Belongs to glycylcycline Group. Is active against most bacteria that have developed resistance to the classical tetracyclines. Acts by inhibiting protein translation in bacteria by binding to the 30S ribosomal subunit. It blocks entry of amino-acyl tRNA molecules into the A site of the ribosome. Active against MRSA, VRE, Multi-drug resistant streptococci. Excreted in bileno dose adjustment in renal failure. It is a broad spectrum antibiotic but most of the pseudomonas are resistant to tigecycline. It is bacteriostatic drug.